Military policy dictates that flight personnel in Iraq receive primaquine chemoprophylaxis for Plasmodium vivax malaria on redeploying to a non-malarious area. Several days after beginning such a regimen, a 26-year-old African-American pilot develops anemia, hemoglobinemia, and hemoglobinuria. Special studies will likely reveal an abnormality in which of the following?
1. Duffy antigen
2. G6PD
3. Intrinsic factor
4. PIG-A

Correct answer: 2. G6PD

Explanation: - Question shows features of hemolysis after giving anti-malarial drug . - This along with history suggests the diagnosis of G6PD deficiency. - Conditions resulting in oxidative stress are: Infections - Pnemonia, sepsis etc Drugs- anti malarials, sulfa drugs, anti-TB drugs Foods